FG, FFG, FFFG....used to describe -
1. Primer
2. Cartridge
3. Black gunpowder
4. Base of firearms

Correct answer: 3. Black gunpowder

Explanation: the synopsis of forensic medicine & toxicology ; Dr k.s narayan reddy ; 28th edition ; Pg.no. 125 ; Black powder is designated as FG,FFG,FFFGetc depending on the size of grains . The more number of F the finer are the grains & faster is the burning .